Least post translational modification occurs in
1. t-RNA
2. Prokaryotic r- RNA
3. Eukaryotic r - RNA
4. Prokaryotic mRNA

Correct answer: 4. Prokaryotic mRNA

Explanation: D i.e. Prokaryotic mRNA